Not true about GIST -
1. Stomach is the most common site
2. High propensity of malignant change
3. Associated with c-KIT mutation
4. Histology shows spindle shaped cells

Correct answer: 2. High propensity of malignant change

Explanation: The prognosis depends on tumor size, mitotic index & location.
Recurrence or metastasis common for mitotic active tumors & more than 10cm but not for others.